Brazilian purpuric fever is caused by?
1. Haemophilus haemolyticus
2. Haemophilus aphrophilus
3. Haemophilus aegyptius
4. Haemophilus parainfluenzae

Correct answer: 3. Haemophilus aegyptius

Explanation: Brazilian purpuric fever is caused by Haemophilus aegyptius. It is characterised by conjunctivitis which proceeds to fulminant septicemia in infants and children. There is high fatality. It was first recognized in Brazil in 1984. Ref: Ananthanarayan and Paniker's Textbook of Microbiology, 9th edition, p330,331.